Which of the following is not associated with zinc deficiency:
1. Delayed wound healing
2. Loss of libido
3. Pigmentation
4. Sexual infantilism

Correct answer: 3. Pigmentation

Explanation: Ans. C: Pigmentation Acrodermatitis enteropathica is a rare inherited form of zinc deficiency, characterized by periorificial and acral dermatitis, alopecia, and diarrhea. Symptoms of Zinc Deficiency Poor Immune system Weight loss Intercurrent infections Hypogonadism in males Lack of sexual development in females Growth retardation Dwarfism Delayed puberty in adolescents Rough skin Poor appetite Mental lethargy Delayed wound healing Short stature Diarrhea One easily recognized sign which may be caused by zinc deficiency is white spots, bands, or lines on fingernails (leukonychia). Some women may have multiple parallel white bands or lines on the fingernails marking menstrual cycles when marginal zinc deficiency was present.